All of following inhibit peripheral conversion of T4 and T3 except -
1. Propylthiouracil
2. Methimazole
3. Proparanolal
4. Amiodarone

Correct answer: 2. Methimazole

Explanation: Ans is 'b' i.e. Methimazole orT Propylthiouracil, propranolal, amiodarone and glucocorticoids inhibit peripheral conversion of T4 and T3.